In combination birth control pills, the contraceptive effect of the estrogenic component is primarily related to
1. Conversion of ethinyl estradiol to mestranol
2. Suppression of cervical mucus secretion
3. Suppression of Growth hormone releasing hormone secretion
4. Suppression of follicle-stimulating hormone (FSH) secretion

Correct answer: 4. Suppression of follicle-stimulating hormone (FSH) secretion

Explanation: The two estrogenic compounds used in oral contraceptives are ethinyl estradiol and its 3-methyl ether, mestranol.To become biologically effective, mestranol must be demethylated to ethinyl estradiol, because mestranol does not bind to the estrogenic cytosol receptor.The combined oral pill suppresses pituitary hormones, FSH and LH peak and through their suppression prevents ovulation. At the same time, progestogen causes atrophic changes in the endometrium and prevents nidation. Progestogen also acts on the cervical mucus making it thick and tenacious and impenetrable by sperms.